What appears to be the principle problem with the use of gallium alloys as an amalgam substitute?
1. Less compressive strength
2. More expansion which leads to tooth fracture
3. Poor biocompatibility
4. Loss of corrosive products

Correct answer: 2. More expansion which leads to tooth fracture